Closure of the anterior fontanelle is delayed in all except –
1. Down's syndrome
2. Osteogenesis imperfecta
3. Hypogonadism
4. Hypothyroidism

Correct answer: 3. Hypogonadism

Explanation: Delayed closure of anterior fontanel / wide (large) anterior fontanel

The anterior fontanel nonnally closes between 12 to 18 months of age.
The presence of excessively large anterior fontanel and its delayed closure is a recognised clinical feature in following conditions.